Homonymous hemianopia with sparing of pupillary reflexes Is a feature of lesions of
1. Lateral geniculate body
2. Optic radiations
3. Visual cortex
4. All of the above

Correct answer: 4. All of the above

Explanation: Lesions of lateral geniculate body These produce homonymous hemianopia with sparing of pupillary reflexes, and may end in partial optic atrophy. Lesions of optic radiations Pupillary reactions are normal as the fibres of the light reflex leave the optic tracts to synapse in the superior colliculi. Lesions of optic radiations do not produce optic atrophy, as the second order neurons (optic nerve fibres) synapse in the lateral geniculate body. Common lesions of the optic radiations include vascular occlusions, primary and secondary tumours, and trauma. Lesions of the visual cortex Congruous homonymous hemianopia usually sparing the macula, is a feature of occlusion of posterior cerebral artery supplying the anterior part of occipital cortex. Congruous homonymous macular defect occurs in lesions of the tip of the occipital cortex following head injury or gun shot injuries. Pupillary light reflexes are normal and optic atrophy does not occur following visual cortex lesions. Ref:- A K KHURANA; pg num:-290,291